All of the following statements about intrinsic allergic Asthma are true, Except:
1. Nasal polyp
2. Normal IgE
3. Family history Positive
4. More aggressive

Correct answer: 3. Family history Positive

Explanation: Answer is C (Family history +ve) Intrinsic Asthma by defination is not allergic in nature and is not associated with a positive family history of allergy Features of Intrinsic Asthma (Nonatopic asthma- Approximately 10% of asthmatic patients are intrinsic) Negative Family History of allergy Negative skin test to common inhalant allergens (Not primarily caused by allergy) Normal serum concentration of IgE. Concomitant nasal polyps (Common) Sensitivity to aspirin and related chemicals Later onset of disease (adult-onset asthma) More servere, persistent disease/asthma.